In ARDS, which type of respiratory failure occurs?
1. Type I
2. Type II
3. Type III
4. Type IV

Correct answer: 1. Type I

Explanation: TYPE I: ACUTE HYPOXEMIC RESPIRATORY FAILUREThis type of respiratory failure occurs with alveolar flooding and subsequent intrapulmonary shunt physiology. Alveolar flooding may be a consequence of pulmonary edema, pneumonia, or alveolar haemorrhage.Type I respiratory failure occurs in clinical settings such as sepsis, gastric aspiration, pneumonia, near-drowning, multiple blood transfusions, and pancreatitis.Pulmonary edema can be further categorized as occurring due to elevated pulmonary microvascular pressures, as seen in heart failure and intravascular volume overload or ARDS ("low-pressure pulmonary edema,"Ref: Harrison 19e pg: 1731